A 42 yr old female was diagnosed with cystic neoplasm of pancreas containing ovarian-type stroma. She was most likely suffering from?
1. Mucinous cystadenoma
2. Serous cystadenoma
3. Solid Pseudopapillary neoplasm
4. Intraductal papillary mucinous neoplasm

Correct answer: 1. Mucinous cystadenoma

Explanation: Diagnosis is Mucinous cystadenoma Most common cystic neoplasm of pancreas Up to 95% are seen in women Usually arise from the tail of pancreas Cystic cavities usually filled with thick mucinous material Columnar mucin-producing epithelium that lines the cysts is associated with a dense stroma similar to ovarian stroma Precursor to invasive carcinoma, up to 1/3rd are associated with invasive adenocarcinoma CECT showing peripheral egg shell calcification Surgical resection is curative for noninvasive mucinous cystic neoplasms (distal pancreatectomy).